Example of type 1 hypersensitivity
1. Lepromin test
2. Casoni test
3. Tuberculin test
4. Arthus reaction

Correct answer: 2. Casoni test